Fat is present in relation to which anatomical structure?
1. Epidermis
2. Dermis
3. Sub-cutaneous tissue
4. Nail bed

Correct answer: 3. Sub-cutaneous tissue

Explanation: Ans. (c) Sub-cutaneous tissueRef: Rooks 8th ed p 3.53, Roxburgh's common skin diseases 17th ed p. 1